A 75-year-old woman presented with an enlarging lesion on the upper back of 3 years' duration. She had multiple co-morbidities. On examination, there was a 4-cm diameter erythematous, shiny plaque. A punch biopsy showed superficial basal cell carcinoma. It was decided to treat her with imiquimod. What is the recommended treatment regimen?
1. 3 times per week for 8 weeks
2. 5 times per week for 6 weeks
3. Alternate days for 4 weeks
4. Daily for 3 weeks

Correct answer: 2. 5 times per week for 6 weeks

Explanation: Imiquimod is immune modulator MOA-acts on TLR 7,8 (agonist)Indication1. Anogenital wart=3T/week2. Actinic keratosis= 2T/week3. Superficial BCC= 5T/weekTopical application is carried out.